Keloid scar is
1. Excessive scar tissue that does not extend beyond the boundary of the original incision or wound.
2. Excessive scar tissue that extends beyond the boundaries of the original incision or wound
3. Pale, flat and stretched in appearance, often appearing on the back and in areas of tension.
4. Pale, flat and stretched in appearance, often appearing on the chest and sternum and in areas of no tension.

Correct answer: 2. Excessive scar tissue that extends beyond the boundaries of the original incision or wound

Explanation: An atrophic scar is a pale, flat and stretched in appearance, often appearing on the back and in areas of tension. A hypertrophic scar is defined as excessive scar tissue that does not extend beyond the boundary of the original incision or wound. A keloid scar is defined as excessive scar tissue that extends beyond the boundaries of the original incision or wound Bailey and Love 27e pg: 30